Development of human kidney begins in:
1. Dorsal region
2. Lumbar region
3. Thoracolumbar region
4. Sacral region

Correct answer: 4. Sacral region

Explanation: Ans. D i.e. Sacral region